Northern blotting is used for analysis of
1. DNA
2. RNA
3. Proteins
4. Polysaccharides

Correct answer: 2. RNA